RBBB with left Axis eviation is characteristic of
1. Ostium Primum ASD
2. Mitral valve prolapse
3. Patent Ductus Arteriosus
4. Ventricular Septal Defect

Correct answer: 1. Ostium Primum ASD